Genital (vulval) warts are asymptomatic white papillary growths, small at first, tend to coalesce. Which is most commonly implicated in genital warts?
1. HPV 16
2. HPV 18
3. HPV 31
4. HPV 6

Correct answer: 4. HPV 6

Explanation: Condylomata acuminata (genital warts) are caused by the human papilloma virus (HPV), mainly types 6 and 11. Other types of HPV, particularly 16, 18, 45, 31, and 52, are responsible for intraepithelial and invasive neoplasia in the vagina, cervix, vulva, oropharynx, perineum, and perianal areas. Ref: Bornstein J. (2013). Chapter 39. Benign Disorders of the Vulva & Vagina. In A.H. DeCherney, L. Nathan, N. Laufer, A.S. Roman (Eds), CURRENT Diagnosis & Treatment: Obstetrics & Gynecology, 11e. ax